A pinch of which of the following poisons can kill as many as five persons :
1. Arsenic trioxide
2. Copper sulphate
3. Lead sulphate
4. Arsenic disulphate

Correct answer: 1. Arsenic trioxide

Explanation: A i.e. Arsenic trioxide